The total number of ligamentum denticulatum lying on both the sides of spinal cord are
1. 12-Oct
2. 20-22
3. 30-32
4. 40-42

Correct answer: 4. 40-42

Explanation: Ligamentum Denticulatum are usually 21 processes on each side and hence a total of 40-42 on both sides. It helps to anchor the spinal cord in the middle of the subarachnoid space. They first crosses behind the vertebral artery where it is attached to the dura mater, and is separated by the artery from the first cervical ventral root.